VDRL is an example of-
1. Slide agglutination
2. Tube agglutination
3. Slide flocculation
4. Tube flocculation

Correct answer: 3. Slide flocculation

Explanation: Option 3 Option 1, 2 Slide flocculation test: VDRL and RPR tests used for diagnosis of syphilis. 1. Slide agglutination: To confirm the identification and serotyping of bacterial colonies growni n culture. 2. Tube agglutination is routinely used for: Typhoid fever (Widal test): Detects Ab against both H (flagellar) and O (somatic) Ag Acute brucellosis (Standard agglutination test) Blood grouping (ABO and Rh grouping) Option 4 Tube flocculation test: Kahn test used previously for syphilis.